Which of the following antiepileptic agent does not act Na+ channel modulation?
1. Vigabatrin
2. Phenytoin
3. Valproate
4. Lamotrigne

Correct answer: 1. Vigabatrin

Explanation: it is an inhibitor of GABAtransaminase, the enzyme which degrades GABA. Anticonvulsant action may be due to increase in synaptic GABA concentration REF KD TRIPATHI 8TH ED.